Maximum blood flow to Coronaries occur during?
1. Early part of systole
2. Systole proper
3. Early part of diastole
4. Diastole proper

Correct answer: 3. Early part of diastole

Explanation: In each cardiac cycle 80% cbf occurs during diastole and the remaining 20% of cbf occurs during systole. Ref: page no363 Textbook of physiology Volume 1 AK Jain 7th edition